Eating disorder with normal weight is-
1. Anorexia nervosa
2. Bulimia nervosa
3. Binge eating disorder
4. None of the above

Correct answer: 2. Bulimia nervosa

Explanation: Ans. is 'b' i.e. Bulimia nervosa Bulimia nervosao Bulimia nervosa is characterized by episodes of uncontrollable excessive eating (binges) followed by vigrous weight-reducing measures like self-induced vomiting, purgative abuse, diuretics, or abuse of emetics; and less commonly severe dieting and stemous exercise.o Episodes of binge eating occur relatively frequently (twice a week or more) for at least 3 months.o As in anorexia nervosa, there is extreme preoccupation with the shape and weight of the body. However, bulimiia nervosa differs from anorexia nervosa : -i) Patients of bulimia are slightly older than those with anorexia i.e., Late adolescence.ii) Most of the patients with bulimia nervosa have a weight within their normal weight range.iii) Amenorrhea is usually not present and most are sexually active, compared with anorexia nervosa patients.iv) Peculiar behavior about the food of anorexia nerv osa is absent.v) Depressive symptoms are more common - Post-binge anquish.o Patient with bulimia nervosa may have dental caries/tooth decay, Sore throat, Swollen Salivary gland (parotitis), and internal bleeding due to vomiting.